Thermo philus sachari causes ?
1. Bagassosis
2. Siderosis
3. Byssinosis
4. Anthracosis

Correct answer: 1. Bagassosis

Explanation: Ans. is 'a' i.e., Bagassosis Bagassosiso Bagassosis is the name given to an occupational disease of the lung caused by inhalation of bagasse or sugar- cane dust.o Bagassosis has been shown to be due to a termophilic actinomycete - Thermoactinomyces sacchari.Anthracosis-Coal dustSilicosis-SilicaSiderosis-ironByssinosis-Cotton dustFarmer's lung-Hay or grain dustSequousis-Moldy red wood saw dustSuberosis-Moldy cork dustDetergent worker's lung-Enzyme additivesBaggassosis-Sugarcane dust